A child complains of episodes of abdominal distension, bloating and diarrhea on intake of milk & milk products. Which of the following can be given in that child?
1. Ice cream
2. Skimmed milk
3. Cold milk
4. Yoghurt

Correct answer: 4. Yoghurt

Explanation: Lactose Intolerance in children Types - Congenital/Primary: mutation of lactose gene in chromosome 2 - Acquired/Secondary: Post-infectious, inflammatory, radiation & drugs. C/F - Diarrhea, abdominal pain & vomiting, especially on intake of milk products; - Perianal excoriation Diagnosis - Reducing substances positive in stool; lactase breath test - Confirmed by improvement of symptoms on exclusion of milk - Decreased lactase activity in small intestine biopsy Treatment - Avoid milk, skimmed milk and milk products like ice cream; - Curd/Yoghurt may be given